True about consensual light reflex is -
1. Decussation of some fibres at optic chiasma is responsible for the consensual light reflex
2. Oculomotor nerve carries afferent signals
3. Decussation occurs at ciliary ganglion
4. All are true

Correct answer: 1. Decussation of some fibres at optic chiasma is responsible for the consensual light reflex

Explanation: Ans. is 'a' i.e., Decussation of some fibres at optic chiasma is responsible for the consensual light reflex Pupillary light reflex (Light reflex)* Pupillary light reflex refers to constriction of pupil in response to light. When a sudden light is thrown into the eye, the pupil of that eye constricts (direct light reflex). The pupil of other eye also constricts (Consensual or indirect light reflex). The pathway for pupillary reflex involve (sequentialy): -i) Afferent: - Retina - Optic nerve- Optic chiasma - Optic tract - Pretectal nucleus - Internuncial neurons - EWN (Edinger westphal nucleus).ii) Efferent: - Edinger westphal nucleus- Occulomotor (3rd) nerve- Ciliary ganglion - Short ciliary nerve - Sphinctor pupillae.* Some fibres decussate at optic chiasma and go to contralateral side which is responsible for consensual or indirect light reflex. From retina upto the Pretectal nucleus is afferent pathway and from EWN of third nerve to sphincter pupillae is efferent pathway.